Treatment of choice of Warthin tumour is?
1. Radical parotidectomy
2. Superficial parotidectomy
3. Superficial parotidectomy with neck dissection
4. Enucleation

Correct answer: 2. Superficial parotidectomy

Explanation: Ans. (b) Superficial parotidectomyRef: sabiston Textbook of Surgery, 18th ed chapter 33